All are true about 0-oxidation except:
1. Activation of FA is a must
2. Carnitine palmitoyl transferase I is present in outer mitochondrial membrane
3. Carnitine palmitoyl trasferase II is present in mitochondrial matrix
4. FA activation requires 2ATP.

Correct answer: 3. Carnitine palmitoyl trasferase II is present in mitochondrial matrix

Explanation: C i.e. Carnitine palmitoyl trasf erase II is present in mitochondrial matrix Long chain activated fatty acid penetrate the inner mitochondria( membrane only in combination with carnitineQ. Carnitine, a carrier molecule, acts like a ferry boat and transport long chain acyl- CoA across mitochondiral membrane otherwise inner mitochondrial membrane is impermeable to acyl -CoA.